Sexual intercourse with an animal by human is called
1. Sodomy
2. Tribadism
3. Lesbianism
4. Bestiality

Correct answer: 4. Bestiality

Explanation: Bestiality(Zoophilia,Zooerasty) Sexual intercourse by human with an animal is called bestiality. The animals involved are calves, sheep, dogs, asses, and even birds like chicken, ducks,choose,etc. Vaginal intercourse is common but other orifices like anus, nose, etc are also used. This is seen in persons with mental abnormality or persons go to the field with cattle alone. Ref: FORENSIC MEDICINE AND TOXICOLOGY Dr PC IGNATIUS THIRD EDITION PAGE 311